Differential force concept is mainly used in
1. Straight wire appliance
2. Lingual appliance
3. Begg's Light wire appliance
4. Frankel appliance

Correct answer: 3. Begg's Light wire appliance